A patient presented in emergency with tachycardia,hyperthermia,bronchial dilation and constipation.The person is likely to be suffering from overdose of
1. Atropine
2. organophosphorus compound
3. Mushroom
4. Paracetamol

Correct answer: 1. Atropine

Explanation: Ref:KD Tripathi pharmacology 7th edition (page.no: 114,115) Actions of Muscarinic antagonist (atropine) CNS stimulation CVS: the prominent effect is tachycardia by abbreviates refractory period of AV node and facilitate AV conduction Gland; decrease salivary, tracheobronchial and lacrimatory secretion, gastric secretions Smooth muscle: decrease tone and contraction, bronchodilatation, constipation Eye; mydriasis by contraction of longitudinal ciliary muscle Rise in body temperature (hyperthermia)